A patient presented with oral mucosal lesions and flaccid blisters Over skin. It detects what and which pattern under microscopic examination?
1. Fishnet pattern IgG in epidermis
2. IgG at Dermo-epiderrnal juction
3. IgA at Dermo-epidermal junction
4. IgG in dermis

Correct answer: 1. Fishnet pattern IgG in epidermis

Explanation: In pemphigus vulgaris skin involvement starts in the form of flaccid blisters. Cutaneous lesions are usually preceded by blisters and erosions of oral mucosa In Direct immunofluorescence intercellular IgG -fishnet pattern throughout the epidermis is seen in pemphigus vulgaris. page no.280,287 Reference IADVL's concise textbook of dermatology